A patient is suspected to have vestibular schwanomma. The investigation of choice for its diagnosis is
1. Gadolinum enhanced MRI
2. Contrast enhanced CT
3. SPECT
4. PET scan

Correct answer: 1. Gadolinum enhanced MRI